Regarding the peak expiratory flow rate, all are true except
1. In normal adults is often more than 500L/min
2. Can be measured by a pneumotachograph
3. Increases with age
4. Can be measured by the wright’s peak flow meter

Correct answer: 3. Increases with age

Explanation: PEFR declines with age.